A teenage boy is brought to the psychiatrist with complaint of him talking and acting strange. On examination he has auditory hallucinations, agitation and rapid incoherent speech. The duration of symptoms is unknown. Substance abuse history is also unknown. The diagnosis could be all of the following except?
1. Schizoaffective disorder
2. Generalized Anxiety Disorder
3. Bipolar Disorder
4. Substance-induced psychotic disorder

Correct answer: 2. Generalized Anxiety Disorder

Explanation: Although patients with generalized anxiety disorder can present with restlessness or irritability, they are usually not agitated and do not have auditory hallucinations or thought disorder.